Paton's lines are peripapillary folds which result due to
1. Optic neuritis
2. Papilledema
3. Anterior ischemic optic neuropathy
4. CRAO

Correct answer: 2. Papilledema

Explanation: Papilledema leads to CIRCUMFERENTIAL PERIPAPILLARY RETINAL FOLDS known as Paton's Lines.